Nihilistic ideas are seen in
1. Simple schizophrenia
2. Paranoid schizophrenia
3. Cotard's syndrome
4. mania

Correct answer: 3. Cotard's syndrome

Explanation: In the 19th century, the French psychiatrist Jules Cotard described several patients with a syndrome called delire de negation. sometimes referred to as nihilistic delusional disorder or Cotard syndrome. Patients with the syndrome complain of having lost not only possessions, status, and strength but also their heart, blood, and intestines. this is a charecterstic delusion that is present in sever depression Reference: Kaplan & Sadock's Synopsis of Psychiatry, 11th edition, Page 336.